Branch of internal iliac artery-
1. Ovarian artery
2. Testicular artery
3. Superior vesical
4. None

Correct answer: 3. Superior vesical

Explanation: Internal iliac artery- Branches
-        Anterior division

Superior vesical
Middle rectal
Inferior vesical
Internal pudendal
Vaginal
Uterine
Obturator
Inferior gluteal 

-        Posterior division

Iliolumbar
Lateral sacral
Superior gluteal